Cardiac output decreases during
1. Moderate increase in environmental temperature
2. Anxiety and excitement
3. Eating
4. Standing from lying down position

Correct answer: 4. Standing from lying down position

Explanation: Ans. (d) Standing from lying down positionRef: Ganong, 25th ed/p.544Cardiac output changesNo change:SleepIncreases during:Anxiety and excitement (50-100%)Eating (30%)Exercise (up to 700%)High environmental temperaturePregnancyEpinephrineDecreases during:Standing from lyingHeart diseases